Which hepatitis virus had been called as enterovirusa
1. HAV
2. HBV
3. HCV
4. HEV

Correct answer: 1. HAV

Explanation: Ans. is 'a' i.e. HAV . HAV has been classified in genus Hepatovirus in the family picornavirus. . It was originally designated as enterovirus 72.